Rotary reamers are classified as
1. Exploring instrument
2. Extirpating instrument
3. Cleaning and shaping instrument
4. Obturating instrument

Correct answer: 3. Cleaning and shaping instrument